A 40-year old lady presents with large left parietal convexity meningioma with perilesional edema. She is scheduled for surgery the next day. A senior neurosurgeon asks a junior resident to write the pre-op notes fro the lady. Which of the following pre-op notes written by him is wrong
1. Anti-epileptic treatment
2. Wash head with shampoo
3. Antibiotic sensitivity
4. Stop steroids

Correct answer: 4. Stop steroids

Explanation: Ans. d. Stop steroids Perilesional edema or vasogenic edema responds to steroids thus lowering the intracranial pressure. Therefore steroids are to be continued and morning dose has to be taken